Which of the following is a sexual spore ?
1. Chlamydospore
2. Sporangiospore
3. Ascospore
4. Phialoconidia

Correct answer: 3. Ascospore

Explanation: Ans. is 'c' i.e., Ascospore